The most common malignant tesicular neoplasm is
1. Teratoma
2. Seminoma
3. Choricocarcinoma
4. Lymphoma

Correct answer: 2. Seminoma

Explanation: Testicular neoplasms occur in roughly 6 per 100,000 males. Tumors of the testis are a heterogeneous group of neoplasms that include germ cell tumors and sex cord stromal tumors. In postpubertal males, 95% of testicular tumors arise from germ cells, and all are malignant. Most testicular tumors in postpubertal males arise from germ cell neoplasia in situ. Testicular germ cell tumors are subclassified into seminomas and nonseminomatous germ cell tumors. ref: ROBBINS BASIC PATHOLOGY 10th Ed. pg no: 693 Most common tumor of the testis: Seminoma Mixed germ cell tumor Most common testicular tumor in infant and children up to 3 years: Yolk sac tumor Most common testicular tumor in prepubertal children: Teratoma Most common testicular tumor >60 years: Lymphoma Most common bilateral tumor Primary is seminoma Secondary is lymphoma Ref: RAM DAS NAYAK EXAM PREPARATORY MANUAL FOR UNDERGRADUATES 2nd ed. pg no: 651